Which of the following acts as intermediate host of malaria parasite?
1. Culex
2. Female anopheles
3. Thromboculid mite
4. Human

Correct answer: 4. Human

Explanation: ANSWER: (D) HumanREF: Jawett's 24th edition Section VI. Parasitology Chapter 46, Paniker various chapters Repeat from December 2009, June 2009Man is the definitive host in most parasitic infections except in:Echinococcus granulosusPlasmodiumTaenia Solium(man is both defenitive and intermediate host)Toxoplasma gondiiSarcocytis lindemaniiIn other parasitic infections man acts as definitive hostTwo intermediate hosts are seen in:Lung fluke (paragonimus)Chinese tape worm (chlonorchis)Fish tape worm (diphyllobothrum latum)Metagonimus westermanni